Drug remaining in body after 3 half lives is
1. 12.50%
2. 75%
3. 87.50%
4. 94%

Correct answer: 1. 12.50%

Explanation: Half-life- time taken by the drug to become half of its earlier concentration it takes 5-6 half-lives for a drug to almost get eliminated from the body Ref: KD Tripathi 8th ed